Most commonly abused opioid is
1. Morphine
2. Diacetyl morphine
3. Codeine
4. Fentanyl

Correct answer: 2. Diacetyl morphine

Explanation: Heroine-brown sugar /diacetylmorphine is the most commonly abused opioid opiods works on mu, kappa and delta receptor. there is a new recpetor that is introduced that is called as orphanin receptor opiod withdrawl is a distressing experience for the patient that makes the patient to take the sunstance again the main clue for opiod withdrawl isALL ORIFICES BLEED there is lacrimation, sweating, vomiting, rhinorrhea, diarrhoea, muscle cramps and stomach ache the piloerection that occurs in opiod withdrawl is called as COLD TURKEY the tratment of opiod withdrawl can be doneby several means SUPPOIVE CARE: clonidine+benzodiazepines+dicyclomine+anti emetic+anti diarrhoeal AGONIST ASSOSIATED DETOXIFICATION: methadone and bupenorphine ANTAGONIST ASSOSIATED DETOXIFICATION: naltrexone Ref: Essentials of postgraduate psychiatry By JN Vyas 1st ed Pg 338